The combination of alcohol and disulfiram results in nausea and hypotension as a result of accumulation of:
1. Acetaldehyde
2. Acetate
3. Methanol
4. NADH

Correct answer: 1. Acetaldehyde

Explanation: Disulfiram is an aldehyde dehydrogenase inhibitor that can be used for de-addiction of chronic alcoholics. Due to inhibition of aldehyde dehydrogenase, there is accumulation of acetaldehyde that leads to several distressing symptoms (which strengthens the resolution of a person to quit alcohol).